A drug is to be delivered by a nebuliser. The size of a droplet for its humidification is :
1. < 5m
2. 10-May
3. 15-Oct
4. 15-20

Correct answer: 1. < 5m

Explanation: Answer is A (< 5 m): 'Particles of size < 2.5 mm can he carried to the lower airways. 'Particles with size above 10-15 mm in diameter, because of their settling velocities in air, do not penetrate beyond the upper airways' 'Particle of size 2.5-10 mm deposit relatively high in the tracheobronchial tree.' 'Particles of size < 2.5 mm can be carried to the lower airways.'